Which of the following does not cause vomiting in a post-operative patient:
1. Ingested blood
2. N2O
3. Acetaminophen
4. Opioids

Correct answer: 3. Acetaminophen

Explanation: It is an analgesic and antipyretic drug which is used for the management of postoperative pain in a surgical patient. By reducing the postoperative pain, it reduces the incidence of post-operative nausea and vomiting.